THE BED SIDE TEST, WHICH IS USED TO DETECT CYANIDE IS:-
1. MARQUIS TEST
2. LEE JONES TEST
3. MARSH TEST
4. MYDRIATIC TEST

Correct answer: 2. LEE JONES TEST

Explanation: Relevant explanations to know Poison Tests Cyanide Lee jones test Opium Marquis test Datura Mydriatic test CO Hoppe-Seyler's test, Kunkel's test Marsh Arsenic Reinsch test Heavy metals LEE JONES TEST : if test reactions shows Greenish-blue colour indicates cyanide, and purplish colour for salicylates.